Elevated triglycerides and decreased HDL are seen in?
1. Smoker
2. Alcoholics
3. Athlete
4. Diabetes

Correct answer: 4. Diabetes

Explanation: The most common pattern of dyslipidemia in diabetes mellitus is hypertriglyceridemia and reduced HDL levels. Increase free fatty acid flow to the liver - | production of apoB-containing triglyceride-rich VLDLs Hypertriglyceridemia -Excellent marker of the insulin-resistant condition. Thiazides cause dyslipidemia,hyperglycemia hence contraindicated in diabetic hypertensives. Antihypertensive drug of choice:-Angiotensin Converting Enzyme (ACE) Inhibitors/Angiotensin II Receptor Blockers (ARBs). Metabolic syndrome X - Elevated levels of apoC-III carried on VLDLs Increase apoC-III can inhibit lipoprotein lipase- Hypertriglyceridemia Reduction in HDL cholesterol.